Blue coloured sclera is frequently associated with:
1. Osteogenesis imperfecta
2. Ehler danlos syndrome
3. Chondrodysplasia
4. Alport syndrome

Correct answer: 1. Osteogenesis imperfecta

Explanation: The disorder is frequently associated with blue sclerae, dental abnormalities and progressive hearing loss. Reference: Harrisons Principles of Internal Medicine, 18th Edition, Page 3207